Earliest field defect in open angle glaucoma is -
1. Contraction of the all isopters
2. Enlarged blind spot
3. Nasal tip
4. Arcuate scotoma

Correct answer: 1. Contraction of the all isopters

Explanation: Field defect in the order of appearance Isopter contractionBaring of blind spotsmall wing shaped paracentral scotomasiedel's scotomaArcuate or Bjerrum's scotomaRing or double arcuate scotomaRoenne's central nasal stepperipheral field defectsAdvanced glaucomatous field defects. Ref :Ophthalmology A K Khurana 6th edition chapter-10 page no :233